Immunoflourosence of pemphigus vulgaris shows?
1. Linear IgG in BMZ
2. Granular IgG in BMZ
3. Fish net appearance
4. IgA deposition in dermal papillae

Correct answer: 3. Fish net appearance

Explanation: ANSWER: (C) Fish net appearanceREF: Fitz Patricks Dermatology, Sixth Edition Page 561, 563, 565